The ovoviviparous nematode is -
1. Ascaris lumbricoides
2. Dracunculus medinensis
3. Strongyloides stercoralis
4. Enterobius vermicularis

Correct answer: 3. Strongyloides stercoralis